Incidence of breech presentation at term is?
1. 1%
2. 3%
3. 7
4. 10%

Correct answer: 2. 3%

Explanation: Ans. (b) 3%Ref: Dutta 6thed p.374